Whiff test is useful in thediagnosis
1. Trichomonas
2. Bacterial vaginosis
3. Candida
4. PID

Correct answer: 2. Bacterial vaginosis

Explanation: Bacterial vaginosis AMSEL criteriaNugnets criteriaThin, white, yellow, homogeneous discharge.Clue cells on microscopy.pH of vaginal fluid >4.5.Release of a fishy odor on adding alkali--10% potassium hydroxide (KOH) solution(Whiff test)At least three of the four criteria should be present for a confirmed diagnosis.Grade 1 (Normal): Lactobacillus morphotypes predominate.Grade 2 (Intermediate): Mixed flora with some Lactobacilli present, but Gardnerella or Mobiluncus morphotypes also present.Grade 3 (Bacterial Vaginosis): Predominantly Gardnerella and/or Mobiluncus morphotypes. Few or absent Lactobacilli.